Radio-isotope of iodine used for thyroid tissue destruction:
1. I-123
2. I-125
3. I-131
4. I-132

Correct answer: 3. I-131

Explanation: Ans. C: I-131 I-131 is used as Nat in the diagnosis and treatment of thyroid disease